Most common site for the initiation of otosclerosis is
1. Food plate of stapes
2. Margins of stapes
3. Fissula ante fenestrum
4. Fissula post fenestrum

Correct answer: 3. Fissula ante fenestrum

Explanation: In stapedial otosclerosis which is the most common variety, the lesion starts just in front of the oval window in an area called "fissula ante fenestram". Ref: Diseases of EAR, NOSE, THROAT by PL Dhingra; 7th Edition; page no.95